NSAIDS cause gastric ulcer because ?
1. They inhibit COX - 2 enzyme
2. They inhibit mucus production
3. They increase HCI production
4. They delay gastric emptying

Correct answer: 2. They inhibit mucus production

Explanation: Ans. is 'b' i.e., They inhibit mucus production Prostaglandins function as natural ulcer protectives by enhancing gastric mucus and HCO3- production, as well as by improving mucosal circulation and health. The ulcerogenic action of NSAIDs may be due to loss of this protective influence. PGE analogues are cytoprotective at low doses and inhibit gastric acid secretion at higher doses. NSAIDs inhibit prostaglandin secretion and thus antagonizes its cytoprotective effect. Misoprostol is used in NSAIDs induced ulcers.